Polygenic inheritance seen in – a) Hypertensionb) HOCMc) Manic depressive psychosisd) Familial hyper lipidemia
1. ac
2. bc
3. ad
4. b

Correct answer: 1. ac